Which of the following drugs is NOT excreted in bile :
1. Erythromycin
2. Ampicillin
3. Rifampicin
4. Gentamicin

Correct answer: 4. Gentamicin

Explanation: Gentamicin is an aminoglycoside and is excreted via renal route.